Recall Bias is commonly associated with
1. Cohort study
2. Case control study
3. RCT
4. Ecological study

Correct answer: 2. Case control study